All the following are true about sickle cell anemia except
1. Mutation in alpha chain
2. Symptoms ameliorated by Hbf
3. Venoocclusive cries is cause of morbidity
4. Bone pain is presenting feature

Correct answer: 1. Mutation in alpha chain

Explanation: Ref Harrison 19 th ed pg 634 The sickle cell syndromes are caused by a mutation in the b-globin gene that changes the sixth amino acid from glutamic acid to valine. HbS (a2 b2 6 Glu-Val) polymerizes reversibly when deoxygenated to form a gelatinous network of fibrous polymers that stiffen the RBC membrane, increase viscosity, and cause dehydration due to potas- sium leakage and calcium influx.